Trisomy 13 is seen in -
1. Edward syndrome
2. Patau syndrome
3. Down syndrome
4. Tumer syndrome

Correct answer: 2. Patau syndrome

Explanation: Ans. is 'b' i.e., Patau syndrome Trisomy 13- Patau syndromeTrisomy 18- Edward syndromeTrisomy 21- Down syndromeXO- Turner syndromeXXY- Klinefelter syndrome